Most useful investigation of choice for liver abscess is
1. Exploratory laparotomy
2. Ultrasound
3. Liver enzymes
4. Parasite in the stool

Correct answer: 2. Ultrasound

Explanation: Ans. (b) UltrasoundRef: Bailey & Love 25th 169* On ultrasound, an abscess cavity in the liver is seen as a hypoechoic or anechoic lesion with ill-defined borders; internal echoes suggest necrotic material or debris. The investigation is very accurate and is used for aspiration, both diagnostic and therapeutic.* Where there is doubt about the diagnosis, a computerized tomography (CT) scan may be helpful.Also KnowDiagnostic pointers for infection with Entamoeba histolytica* Bloody mucoid diarrhoea in a patient from an endemic area or following a recent visit to such a place* Upper abdominal pain, fever, cough, malaise* In chronic cases, a mass in the right iliac fossa = amoeboma* Sigmoidoscopy shows typical ulcers--biopsy and scrapings may be diagnostic* Serological tests are highly sensitive and specific outside endemic areas* Ultrasound and CT scans are the imaging methods of choice.